Pulsus bisiferiens is seen in all except
1. Aortic regurgitation + aortic stenosis
2. Aortic regurgitation
3. Hypertrophic cardiomyopathy
4. Tetrology of heart

Correct answer: 4. Tetrology of heart

Explanation: Ref Harrison 19 th ed pg 1526 Pulsus bisferiens, also known as biphasic pulse, is an aortic waveform with two peaks per cardiac cycle, a small one followed by a strong and broad one. It is a sign of problems with the aortic valve, including aortic stenosis and aortic regurgitation, as well as hypertrophic cardiomyopathy causing subaortic stenosis.